The most common cause of Addison's disease is:~
1. Autoimmune adrenalitis
2. Meningococcal septicemia
3. Malignancy
4. Tuberculosis

Correct answer: 1. Autoimmune adrenalitis

Explanation: . Autoimmune adrenalitis